Which one is not a cause of infertility :
1. Salpingitis
2. Chronic pelvic inflammatory disease
3. Submucosal myomata
4. None

Correct answer: 4. None